p-ANCA is characteristic for:
1. PAN
2. Microscopic polyangitis
3. Wegener's granulomatosis
4. Henoch-Schonlein purpura

Correct answer: 2. Microscopic polyangitis

Explanation: Answer is B (Microscopic polyangitis) : PAN can broadly be classified into Classic PAN (now referred to an PAN) Classified as Medium Vessel Vasculitis Necrotizing inflammation of small & medium sized arteries. No involvement of capillaries & venules Pulmonary vasculature is not involved. ANCA mostly negative (Rarely p-ANCA may be seen) Microscopic PAN (now called microscopic polyangitis) Classified as small vessel vasculitis Necrotizing inflammation of small & medium sized arteries. Capillaries & venules are involved Pulmonary vasculature is involved. ANCA positive (p-ANCA)